A patient with angina, exertional syncope and Left ventricular hypertrophy is diagnosed with aortic stenosis. What is the predicted life span of this patient?
1. 1 year
2. 2 years
3. 3 years
4. 4 years

Correct answer: 3. 3 years

Explanation: Predicted life span based on symptoms in patients of aortic stenosis Angina and exertional syncope :3 years Dyspnea :2 years CHF : 1.5 years